The PHP index describes:
1. Performance of hygiene by patient after brushing self evaluation
2. Measures oral hygiene and gingival bleeding
3. Score the plaque surface after treatment
4. Measures the oral flora and plaque index

Correct answer: 1. Performance of hygiene by patient after brushing self evaluation